Instantaneous rigor is seen in -
1. Cadaveric spasm
2. Rigor mortis
3. Cold stiffening
4. Gas stiffening

Correct answer: 1. Cadaveric spasm

Explanation: Cadaveric spasm is stiffness and rigidity of muscles immediately after death without moving into primary relaxation. Dr. Narayana Reddys Synopsis of Forensic Medicine & Toxicology 27 th edition pg. 81.